Most common cause of abdominal mass in neonates is
1. Neuroblastoma
2. Wilm's tumor
3. Distended bladder
4. Multicystic dysplastic kidneys

Correct answer: 4. Multicystic dysplastic kidneys

Explanation: Multicystic dysplastic kidney(MCDK) is a condition that results from the malformation of the kidney during fetal development. The kidneyconsists of irregular cysts of varying sizes. Multicystic dysplastic kidney is a common type of renal cystic disease, and it is a cause of an abdominal mass in infants. Reference: GHAI Essential pediatrics, 8th edition